Function of anconeus is
1. Pronation
2. Supination
3. Flexion
4. Extension

Correct answer: 4. Extension

Explanation: ANCONEUS:- Origin: back of lateral epicondyle.Insertion:-lateral side of olecranon process. and upper surface of posterior surface of ulna.Nerve supply: nerve to anconeus. (Branch of radial nerve)Action:weak extensor of elbow joint.{Reference: vishram singh, pg no.129}